Which immunoglobulin has no known function but is present on the surface of B lymphocytes and it may function as an antigen receptor?
1. IgA
2. IgE
3. Ig D
4. IgM

Correct answer: 3. Ig D

Explanation: IgD antibody consists of two light chains and two heavy chains. Its role is not known but can be found on the surface of lymphocytes where it may act as a surface receptor. Ref : Ananthanarayana textbook of Microbiology 9th edition Pgno : 98